Migratory thrombophlebitis is seen in
1. Pancreatic cancer
2. Bladder cancer
3. Breast cancer
4. Liver cancer

Correct answer: 1. Pancreatic cancer

Explanation: Malignancies associated with Migratory thrombophlebitis CA pancreas(MC) CA lung GI malignancies Prostate cancer Ovarian cancer Lymphoma Troesseau's syndrome : Migratory thrombophlebitis Ref: Robbins 9tu edition Pgno :332,126